All of the following adverse effects are associated with the use of proton pump inhibitors except:
1. Community acquired pnemonia
2. Clostridium difficile infection
3. Osteoporosis leading to hip fractures
4. Hypothyroidism

Correct answer: 4. Hypothyroidism

Explanation: Long term use of proton pump inhibitors may lead to : -Mild to moderate decrease in vitamin B12,iron and calcium absorption. -increased risk of enteric infections including C.difficile and bacterial gastroenteritis. -modest increase in risk of hip fractures. -modest increase in risk of pnemonia. (Ref.CMDT 2015/609-610)